Which is the ideal (most scientific) setting for an epidemiological study
1. Case-Control study
2. Cohort study
3. Experimental study
4. Cross-section study

Correct answer: 3. Experimental study

Explanation: Experimental or intervention studies are similar in approach to cohort studies excepting that conditions in which study is carried out are under the direct control of the investigator.The aim of experimental studies may be stated as followsa) to provide 'scientific proof' of aetiological factors or risk factorsb) to provide a method of measuring the effectiveness and efficiency of health servicesPark 23e pg:80